What is false about GIST ?
1. Associated with NF 1
2. Most common site is stomach
3. Associated with CD 117
4. Least common mesenchymal neoplasm of gastrointestinal tract

Correct answer: 4. Least common mesenchymal neoplasm of gastrointestinal tract

Explanation: Ans. is 'd' i.e., Least common mesenchymal neoplasm of gastrointestinal tract Gastrointestinal stromal tumors (GISTs) GISTs are the most common mesenchymal neoplasm of gastrointestinal tumor. GIST represents a distinct group of gastrointestinal tumors that originate from the interstial cells of cajal which control gastrointestinal peristalsis. GISTs can occur anywhere in the gastroinstestinal tract; the most common site being the stomach followed by small intestine.